Sign suggestive of carcinoma lung on chest X-ray is:
1. Rib erosion
2. Central destruction within lesion
3. Flattening of diaphragm
4. Calcification

Correct answer: 1. Rib erosion

Explanation: Ans. Rib erosion